Epidermolysis bullosa occurs due to alteration is structure of which of the following collagen:
1. Type 1 collagen.
2. Type 4 collagen.
3. Type 6 collagen.
4. Type 7 collagen.

Correct answer: 4. Type 7 collagen.